All are the following are side effect of ropinirole except:
1. Sedation
2. Nausea
3. Retroperitoneal Fibrosis
4. Hallucination

Correct answer: 3. Retroperitoneal Fibrosis

Explanation: *Adverse effects of ropinirole and pramipexole include nausea, dizziness, hallucinations, postural hypotension and excessive day time sleepiness. *Their advantage over ergot derivatives like bromocriptine is lack of retroperitoneal fibrosis and gangrene and long duration of action. *Rapinirole has been approved by FDA for restless leg Syndrome. REF KD TRIPATHI 8TH ED.